Koplik spot is pathognomic of which infection ?
1. Rubella
2. Influenza
3. Mumps
4. Measles

Correct answer: 4. Measles

Explanation: Ans. is 'd' i.e., Measles